All are abnormality in lens shape except :
1. Spherophakia
2. Microphakia
3. Microspherophakia
4. Aphakia

Correct answer: 4. Aphakia

Explanation: Microphakia, spherophakia (microspherophakia) all are types of abnormal lens.
Microphakia – Abnormal smalleness of the lens of the eye.
Spherophakia (microspherophakia) – in spherophakia the lens is amall and spherical
(increase anterior and posterior curvature of lens) . Angle closure glaucoma occurs when the small round lens has blocked the flow of aqueous through the pupil.